Intention tremor is seen in
1. Head injury
2. Cerebellar disease
3. Parkinsonism
4. Wilson's disease

Correct answer: 2. Cerebellar disease

Explanation: (B) Cerebellar disease > The degree of tremor should be assessed in four positions. The tremor can then be classified by which position most accentuates the tremor.TREMORSTypeEssential TremorResting TremorPhysiologic (Postural) TremorCharacteristicsAppearing or Worsening at onset of movementAppearing in Rest, vanishing in movementAppearing in a Static stateEtiologyWilson Disease: FamiliarParkinson Disease,Parkinson Plus SyndromesAnxietiesTherapyPropranolol, Primidon, Gabapentin, AtenololDopamin Agonists, Levodopa, Amantadin, DBS (Vim, Zona Incerta)Propranolol, Clonazepam